Anaesthetic agent with vasoconstrictor is contraindicated in ?
1. Digital block
2. Spinal block
3. Epidural block
4. Regional anaesthesia

Correct answer: 1. Digital block